The following statements are true about Intrauterine devices (IUD) except -
1. Multiload Cu-375 is a third generation IUD
2. The pregnancy rate of lippes loop and Cu-T 200 are similar
3. IUD can be used for Emergency Contraception within 5 days
4. Levonorgestrel releasing IUD has an effective life of 5 years

Correct answer: 1. Multiload Cu-375 is a third generation IUD

Explanation: Ans. is 'a' i.e., Multiload Cu - 375 is a third generation IUD Multiload Cu 375 is a second generation IUD and not a third generation IUD. o The pregnancy rates of both Lippes loop and CuT 200 per 100 women after 12 months of use are same - 3/100 women.